Histologic alteration seen in Sjogren syndrome is/are:
1. Intense lymphocytic infiltration of the gland replacing the acinar stuctures, but preserving the lobular.
2. Proliferation of the ductal epithelium and myoepthelium.
3. Atrophy of the glands sequential to the lymphocytic infiltration.
4. All of the above.

Correct answer: 4. All of the above.